Symptoms of thoracic outlet syndrome in cervical rib are produced due to compression of which nerve roots.
1. C5, C6
2. C6, C7
3. C7, C8
4. C8, T1

Correct answer: 4. C8, T1

Explanation: Cervical rib is usually represented by a fibrous band originating from the seventh cervical vertebra and inserting onto the first thoracic rib. The lower trunk of the plexus (mainly T1) is compressed, leading to wasting of the interossei and altered sensation in the T1 distribution. Compression of the subclavian artery may result in a post-stenotic dilatation with thrombus and embolus formation. Source : Bailet and Love 26th edition Pg : 872